Lymph nodes of which area are not easily palpable?
1. Axilla
2. Neck
3. Groin
4. Abdomen

Correct answer: 4. Abdomen